A 69 year old male patient having coronary artery disease was found to have gall bladder stones while undergoing a routine ultrasound of the abdomen. There was no history of biliary colic or jaundice at any time. What is the best treatment advice for such a patient for his gallbladder stones?
1. Open cholecystectomy
2. Laparoscopic cholecystectomy
3. No surgery for gallbladder stones
4. ERCP and removal of gallbladder stones

Correct answer: 3. No surgery for gallbladder stones

Explanation: Ans. is 'c' No surgery for gallbladder stones Ref.: Schwartz Surgery Pretest based on 7th/e p 204, Q no. 558; CSDT 11th/e p 546, p 605 Schwartz Pretest writes- "In a patient who has asymptomatic cholelithiasis as an incidental finding, however, there are no data to suggest that any therapeutic intervention is justified. Fewer than 25 percent of patients with asymptomatic cholelithiasis will develop symptoms that require intervention over a 5 year follow-up period."